Indication of caesarean section after previous caesarean section is?
1. Hypertension
2. Type 1 placenta previa
3. CPD
4. Multigravida

Correct answer: 3. CPD

Explanation: ANSWER: (C) CPDREF: Dutta 6th ed page 589See previous question for explanation